Which of the following cause leukocoria
1. Eale' diseases
2. Coats disease
3. Central serous Retinopathy
4. Retinitis pigmentosa

Correct answer: 2. Coats disease

Explanation: Leukocoria is a white eye reflex called as amaurotic cat eye reflex .coats disease is severe form of retinal telangectasia commonly seen in small boys